Elevated JVP is seen in
1. Corpulmonale
2. Pneumonia
3. ARDS
4. Pleural effusion

Correct answer: 1. Corpulmonale

Explanation: Ans. (a) Corpulmonale